Acetylcholine acting on nicotinic receptors produces:
1. Contraction of skeletal muscle
2. Secretion of saliva
3. Bradycardia
4. Pupillary constriction

Correct answer: 1. Contraction of skeletal muscle

Explanation: Ans. Contraction of skeletal muscle